Pre-cancerous lesion of bone-
1. Paget disease
2. Chronic osteomyelitis
3. Benign giant cell tumor
4. Ail of above

Correct answer: 4. Ail of above

Explanation: Ans. is 'd' i.e., All of above Pre-cancerous lesion of boneMultiple exostosesOllier's diseaseBenign giant cell tumorOsteoblastomaChondroblastomaChronic osteomyelitisPaget's disease